Wof is the most accurate statement regarding digoxin
1. Increases vagal tone and decreases AV node conduction
2. Decreases mortality in patients with congestive heart failure with normal sinus rhythm
3. Lengthens the action potential and increases the refractoriness of the heart
4. Useful in the treatment of Wolff-Parkinson-White syndrome

Correct answer: 1. Increases vagal tone and decreases AV node conduction

Explanation: CARDIAC GLYCOSIDES PHARMACOLOGICAL ACTIONS Heart:- Heart rate:-Heart rate is decreased by digitalis. Bradycardia is more marked in CHF patients because improved circulation (due to positive inotropic action) restores the diminished vagal tone and abolishes sympathetic overactivity. In addition, digitalis slows the heart by vagal and extravagal actions. Vagal tone:- is increased reflexly by sensitization of baroreceptors, as well as by stimulation of vagal centre. Extravagal:- A direct depressant action on SA and A-V nodes. This component of bradycardia is not reversed by atropine. Ref:- kd tripathi; pg num:-512,513